Azzopardi effect is seen in which of the following lung tumours?
1. Adenocarcinoma
2. Squamous cell carcinoma
3. Small cell carcinoma
4. Large cell carcinoma

Correct answer: 3. Small cell carcinoma

Explanation: Microscopic features of small cell carcinoma: Small cells, that are generally smaller than three times the diameter of a small resting lymphocyte. "Salt and pepper" chromatin High mitotic count Basophilic staining of vascular walls due to encrustation by DNA from necrotic tumor cells (Azzopardi effect) is frequently present. Expression of neuroendocrine markers such as chromogranin, synaptophysin, and CD56. Electron microscopy shows dense-core neurosecretory granules.